The gold standard lab test for diagnosis of paroxysmal nocturnal Hemoglobinuria is
1. Ham test
2. Nestroft test
3. Sucrose lysis test
4. Flow cytometry

Correct answer: 4. Flow cytometry

Explanation: Flow cytometry

It is gold standard test for diagnosis of PNW
It shows absence of CD55 and CD59 on RBC